A 40 year old diabetic presents with blackish nasal discharge and a mass in the nose, likely diagnosis is:
1. Mucormycosis
2. Actinomycosis
3. Rhinosporiodosis
4. Histoplasmosis

Correct answer: 1. Mucormycosis

Explanation: Mucomycosis is an opportunistic infection which is, common in diabetics, presenting with blackish nasal discharge.